As per IPHS norms, the proposed number of female health worker at sub-centre :
1. 1
2. 2
3. 3
4. None

Correct answer: 2. 2

Explanation: Subcentre Norms (IPHS) : Manpower Existing Proposed Health worker (female) 1 2 Health worker (male) 1 1 Voluntary worker 1(optional) 1(optional) 2/3 3/4 Ref: Park 25th edition Pgno : 963